Carbamoyl phosphate synthase - 1 is stimulated by ?
1. ATP
2. Arginosuccinate
3. Carbamoyl phosphate
4. N-acetyl glutamate

Correct answer: 4. N-acetyl glutamate

Explanation: Carbamoyl phosphate synthase-I (CPS-I), a mitochondrial enzyme, catalyzes the formation of carbamoyl phosphate by condensation of CO2 and ammonia.Two molecules of ATP are required for the reaction. CPS-I is the rate limiting enzyme of urea cycle. It is an allosteric enzyme and allosterically activated by N-acetyl glutamate.